Which of the following is a non-destructive method of age estimation in adults?
1. Assessment of root dentin translucency
2. Amino acid racemisation
3. Evaluation of tooth cementum annulations
4. Pulp to tooth ratio of canines

Correct answer: 4. Pulp to tooth ratio of canines